All of the following are antioxidant except:
1. Vitamin A
2. Vitamin B
3. Vitamin C
4. Vitamin E

Correct answer: 2. Vitamin B

Explanation: Ans. B: Vitamin B Antioxidants are a group of compounds that help to protect the body from the formation and elimination of free radicals. Free-radicals are formed from exposure to sunlight and pollution and also as a byproduct of cell metabolism. Alcohol, cigarette smoke, stress and even diet also affect the level of free-radical development in the body. Excellent antioxidants include Vitamin A, Vitamin E, Vitamin C, zinc, selenium, ginkgo biloba, grape seed extract, and green tea extract.